Which of the following poisonings causes the blood to become cherry red?
1. Cyanide
2. H2S
3. Potassium per chlorate
4. Nitrite

Correct answer: 1. Cyanide

Explanation: Cyanide stops respiration at mitochondrial level so the O2 in the blood is not used and hence a high saturation of O2 in the blood gives it the bright red color. H2S changes the red blood pigment; blood turns brown to olive in color. In potassium per chlorate poisoning, the blood is of a chocolate color. Nitrite poisoning causes methemoglobinemia and anemic anoxia. Signs are dyspnea and coffee color of mucosae and blood.